Investigation of choice for SPINAL METASTASIS?
1. MRI
2. BONE SCAN
3. XRAY SPINE
4. CT scan

Correct answer: 1. MRI

Explanation: MRI is the Investigation Of Choice for Most spinal imaging including: Spinal metastasis Spinal tumors Potts' spine Intramedullary spinal cord metastasis